Which of the following feature would a thyroid biopsy MOST likely show in Hashimoto's disease?
1. Thyroid follicle destruction and fibrosis by macrophages and giant cells
2. Thyroid follicle destruction by lymphocytes and presence of Hurthle cells
3. Thyroid follicles with finger-Iike growths
4. Thyroid follicles with large colloid and flattened epithelial cells

Correct answer: 2. Thyroid follicle destruction by lymphocytes and presence of Hurthle cells

Explanation: Thyroid follicular infiltration by lymphocytes along with the presence of Hurthle cells is characteristic of Hashimoto's disease. Hurthle cells are the surviving follicular epithelial cells that are transformed into large cells with abundant pink cytoplasm. Thyroid follicle destruction by macrophages and giant cells is found in subacute thyroiditis. Finger-like growths or papillary formation of the thyroid follicles is characteristic of papillary carcinoma of the thyroid; Orphan Annie eyes (clear nuclei in the follicular epithelial cells) are pathognomonic. Thyroid follicles with large colloid centers are typical for toxic multinodular goiter. Note: Hashimoto's autoimmune thyroiditis, shows marked lymphocytic infiltration and loss of thyroid follicles. Residual thyroid follicular epithelial cells are enlarged and have abundant cytoplasm (Hurthle cells). Ref: Chandrasoma P., Taylor C.R. (1998). Chapter 58. The Thyroid Gland. In P. Chandrasoma, C.R. Taylor (Eds), Concise Pathology, 3e.